A women noticed mass in her left breast with persistent bloody discharge. Histopathology revealed duct ectasia. More than one duct is involved. What is the treatment of choice?
1. Simple mastectomy
2. Microdochectomy
3. Lobectomy
4. Hadfield operation

Correct answer: 4. Hadfield operation

Explanation: Periductal mastitis, also called plasma cell mastitis or mammary duct ectasia, is an uncommon benign disorder characterized by dilated or ectatic ducts with retained secretions, surrounded by significant tissue inflammation. A microdochectomy is indicated where the discharge is from a single, defined duct. A subareolar resection of the ducts (Hadfield's operation) is undertaken where a bloodstained discharge issues from several ducts. Ref: Surgery: Diagnosis and Management edited by Nigel Rawlinson, Derek Alderson, 2010, Page 219.